Which of the following drug develops the resistance by inactivating enzymes:
1. Aminoglycosides.
2. Beta lactams.
3. Chloramphenicol.
4. All of the above.

Correct answer: 4. All of the above.

Explanation: Drug resistance by Inactivating  enzymes: 
A – Aminoglycosides 
B – Beta lactams 
C – Chloramphenicol